Which is not Glucogenic ?
1. Arginine
2. Histidine
3. Glycine
4. Lysine

Correct answer: 4. Lysine

Explanation: Ans. is 'd' i.e., Lysine